The number of muscle fibers innervated by a motor axon is smallest in:
1. Gastrocnemius
2. Orbicularis oculi
3. Single-unit smooth muscle
4. Soleus

Correct answer: 2. Orbicularis oculi

Explanation: The extraocular and hand muscle has a ratio of 3-6 (total 3000 motor units) whereas gastrocnemius and back muscle (concern with posture) has a innervation ratio of 2000 (total 600 units).